Ujjawala scheme is for prevention of
1. Child abuse
2. Child trafficking
3. Child labour
4. Child marriage

Correct answer: 2. Child trafficking

Explanation: Five important components of Ujjawala scheme Prevention Rescue Rehabilitation Reintegration Repatriation UJJWALA Providing LPG connections to women from Below Poverty Line (BPL) households. UJJAWALA Prevention of trafficking and Rescue, Rehabilitation and Re-integration of Victims of Trafficking and Commercial Sexual Exploitation UJALA Unnat Jyoti by Affordable LEDs for All. Promote efficient lighting, enhance awareness on using efficient equipment which reduce electricity bills and help preserve environment.